In blood bilirubin is with
1. Protein
2. Steroid
3. Vitamin
4. Carbohydrates

Correct answer: 1. Protein

Explanation: Bilirubin is bound to protein for transportation in blood.